which type of resin tags contribute more to bonding:
1. Micro resin tags
2. Nano resin tags
3. Macro resin tags
4. No effect of size of resin tags for bonding.

Correct answer: 1. Micro resin tags